Which of the following drug can be used for medical adrenalectomy?
1. Metyrapone
2. Ketoconazole
3. Aminoglutethimide
4. All of the above

Correct answer: 4. All of the above

Explanation: DRUGS INHIBITING THE FORMATION OF ADRENAL STEROIDS These drugs can be used for medical adrenalectomy Metyrapone Ketoconazole Aminoglutethimide Mitotane